Myelin forming cells in cns
1. Oligodendrocytes
2. Schwancells
3. Both
4. None

Correct answer: 1. Oligodendrocytes

Explanation: Oligodendrocytes are the myelin forming cells of the cns One cell can myelinate 30 neurons Ref:Guyton and Hall textbook of medical physiology 12th edition,page number:72,73